Indications of Bone marrow transplantation are all except-
1. CML
2. AML
3. Hereditary spherocytosis
4. SCID

Correct answer: 3. Hereditary spherocytosis